Following drugs are immunosuppresanis except
1. Cephalosporin
2. Cyclosporine
3. Azathioprine
4. Steroids

Correct answer: 1. Cephalosporin

Explanation: Ans. is 'a' i.e., Cephalosporin Immunosuppressantso These are drugs which inhibit cellular or humoral response or botho These are mainly used in organ transplantation and autoimmune disease,o The drugs are1. Specific T cell inhibitor {Calcineurin inhibitors)- Cyclosporine, Tacrolimus2. Proliferation signal inhibitors (mTOR inhibitors)- Sirolimus (rapamycin), Everolimus.3. Cytotoxic drugs (antiproliferative drugs)- Azathioprine, Methotrexate, Cyclophosphamide Chlorambucil, Mycophenolate mofetil4. Glucocorticoids- Prednisolone and others5. Antibodies- Muromonab CD3, Antithymocyte globulin (ATG), Rho (D) immunoglobulin6. Miscellaneous- Lefunamide. Thalidomide